Stenosis of which of the following vessels is associated with the highest patency rates following angioplasty or stenting?
1. Medial circumflex artery
2. Iliac artery
3. Superficial femoral artery
4. Popliteal artery

Correct answer: 2. Iliac artery

Explanation: Angioplasty and stenting of the iliac vessels has a patency rate of 75% at 5 years; PTA and stenting of all other vessels has a much lower patency than bypass procedures. The FDA has only approved illiac artery stenting.